Abdominal Ultra-sonography in a 3 year old boy shows a solid well circumscribed hypo-echoic renal mass. Most likely diagnosis is:
1. Wilm's tumor
2. Renal cell carcinoma
3. Mesoblastic nephroma
4. Oncocytoma

Correct answer: 1. Wilm's tumor

Explanation: Nephroblastoma (Wilm's tumour) is the commonest renal tumour in children and on USG appears a well circumscribed hypo echoic, solid mass. Ref: Differential Diagnosis in Abdominal Ultrasound By Bisset, 3rd Edition, 2008, Preview